Gastric Lavage is contraindicated in poisoining with:
1. Kerosene
2. Organophosphorus
3. Arsenic
4. Morphine

Correct answer: 1. Kerosene

Explanation: Ans: A ( Kerosene) Gastric lavage Is C/l in kerosene poisoningGastric evacuation for pure petroleum distillate or turpentine ingestion is not recommended" - Reddy 27th/522Gastric Lavage (G. L) - C/l or Precautions# The only absolute C/l for G. L. is corrosive poison ingQ (except carbolic acidiy}, owring to the danger of perforation# In following conditions - stomach wash can be done by taking proper precautionsi. Convulsant poisonsQ - As itmay lead to convulsion, lavage should be done after controlling convulsionii. Comatose patientQ - There is risk of aspiration of fluid into the air passage. The airway should be sealed by cuffed endotracheal tube(8 to 9 no.) & then lavage doneiii. Volatile poison' - Which may be inhalediv. Upper alimentaryfi disease - Like oesophageal variesv. In patient with marked hypothermia & haemorrhagic diastbesisGastric LavageIt is useful any time within 3hr after ingestion of poison (Reddy)It is life saving if undertaken within 4-6 hr after ingestion of poison {ParikhjGL most effective if done within 2-3 hr after ingestion of poison (modi)In case of irritent poison, the stomach should be passed with caution (modi),As poisoning - "Stomach should be repeatedly washed by warm water & milk" (Reddy 27th/473)Morphine poisoning - Wash stomach with 1:5000 solution of KMnOf" (Reddy 27th/516)Datura poisoning - "Wash stomach repeatedly with a weak solution of tannic acid"(Reddy 27th/533)Organophosphorus poisoning - "Stomach should be %vashed with 1 : 5000 KMn04 solution"(Reddy 27th/459)C/I of Emetics# Same as for stomach wash &Severe heart & lung diseaseAdvanced pregnancy'After ingestion of a CNS stimulant, because further stimulation associated with vomiting may produce convulsion.